Which is the best parameter for analysis of Hypoxic hypoxia:
1. Arterial PO2
2. Arterial PCO2
3. Venous PO2
4. A-V Difference

Correct answer: 1. Arterial PO2

Explanation: A i.e. Arterial PO2.